"Rat Bite" fever is caused by:
1. Bacillus anthracis
2. Leptospira
3. Spirillum minus
4. Borellia

Correct answer: 3. Spirillum minus

Explanation: Spirillum minus